Thompson and Epstein classification used in
1. Anterior dislocation of Hip
2. Posterior dislocation of Hip
3. Central dislocation of Hip
4. Fracture neck of femur

Correct answer: 2. Posterior dislocation of Hip